Pain-sensitive intracranial structure is
1. Piamater
2. Pial vessels
3. Duramater
4. Brain mater

Correct answer: 3. Duramater

Explanation: Intracranial structures sensitive to pain are scalp, anponeurotica, duramater around venous sinuses & vessels, falx & tentorium cerebri, cranial venous sinuses, some arteries. Intracranial structures insensitive to pain are brain parenchyma, ventricular ependyma, duramater over convexity of skull, piameter, pial veins, arachnoidmater and choroids plexus.